Drug of choice in lithium induced polyuria is?
1. Amiloride
2. Demeclocycline
3. Thiazide diuretics
4. Indomethacin

Correct answer: 1. Amiloride

Explanation: Amiloride REF: Goodman & Gillman's 11th edition page 494, 505 "Lithium-induced polyuria is usually reversible. Amiloride is useful for lithium-induced nephrogenic diabetes insipidus because it blocks Li+ transport into the cells of the collecting tubules" "Paradoxically, thiazide diuretics reduce the polyuria of patients with DI and often are used to treat non-lithium-induced nephrogenic DI" "While case reports describe the effectiveness of indomethacin in the treatment of nephrogenic DI, other cyclooxygenase inhibitors (e.g., ibuprofen) appear to be less effective"